Antibody found in patients of myaesthenia gravis is directed against -
1. Acetycholine
2. Acetycholine receptors
3. Acetycholine vesicles in nerve terminal
4. Actin-myosin complex of the muscle

Correct answer: 2. Acetycholine receptors